Cerebellum
1. Axons of the Purkinje cells are the efferents from the cerebellar cortex
2. All its arteries are derived from vertebral artery
3. Inferior cerebellar peduncle is the most medial of the peduncles entering through the anterior cerebellar notch
4. Dentate nucleus is the largest and phylogenetically oldest of its nuclei

Correct answer: 1. Axons of the Purkinje cells are the efferents from the cerebellar cortex

Explanation: (A) Axons of the Purkinje cells are the efferents from the cerebellar cortex> Output from cerebellum is solely from Purkinje cells.